To avoid conception D.M.P.A. is given :
1. Monthly internals
2. 3 -- monthly
3. 6 -- monthly
4. Yearly

Correct answer: 2. 3 -- monthly

Explanation: 3 -- monthly